Malignant hyperthermia is
1. Autosomal recessive pharamacogenetic disease
2. Succinylcholine is a triggering agent
3. Metabolic alkalosis and hypokalemia
4. Calcium infusion is used for treatment.

Correct answer: 2. Succinylcholine is a triggering agent

Explanation: Malignant hyperthermia is autosomal dominant disease. It is characterized by metabolic acidosis and hyperkalemia.
i.v dantrolene infusion is used for treatment.